Rabies free country is -
1. USA
2. Russia
3. Australia
4. France

Correct answer: 3. Australia

Explanation: Rabies free zone "Rabies free area" is defined as the one in which no case of indigenously acquired rabies has occurred in man or any animal species for 2 years. In India, Union territory of lakshadweep and Andaman and Nicobar islands are free of disease. Australia,china,cyprus, iceland, Ireland, Japan , Malta,New Zealand, the UK and the islands of western pacific are free of the disease. The Liberian peninsula,and Finland, Norway and Sweden are all free from rabies. {Reference: park's textbook of preventive and social medicine, 23rd edition, pg no.277}